All are true regarding MEN-I syndrome, except
1. Autosomal recessive
2. Hyperparathyroidism
3. Islet cell tumour
4. Associated with chromosome 11

Correct answer: 1. Autosomal recessive

Explanation: MEN syndromes are inherited as autosomal dominant disorders.MEN-1 The gene is located on long arm of chromosome 11 (11q13) (Refer: Robbins & Cotran's - Pathologic Basis of Disease, SAE, 1st edition, Vol II-pg no: 1136-1137)